The triangle of pain is bordered by all of the following EXCEPT ?
1. Iliopubic tract
2. Ductus deferens
3. Gonadal vessels
4. Reflected peritoneum

Correct answer: 2. Ductus deferens

Explanation: The triangle of pain is a region bordered by the : iliopubic tract gonadal vessel reflected peritoneum It encompasses the lateral femoral cutaneous, femoral branch of the genitofemoral, and femoral nerves.